In oogenesis, which of the following events occurs immediately following the completions of meiosis II?
1. Degeneration of the zona pellucida
2. Sperm penetration of the corona radiata
3. Formation of a female pronucleus
4. Appearance of the blastocyst

Correct answer: 3. Formation of a female pronucleus

Explanation: The secondary oocyte is arrested in metaphase of meiosis II, and it will remain in this meiotic stage until fertilization occurs. Following fertilization, the secondary oocyte completes meiosis II, forming a mature ovum and a polar body. The nucleus of the mature ovum is called the female pronucleus, which fuses with the male pronucleus to form a zygote.